Classical 'Rain drop' lesions are seen in:
1. Burkitt's lymphoma
2. Hodgkin's lymphoma
3. Multiple myeloma
4. Haemophilia

Correct answer: 3. Multiple myeloma

Explanation: The appearance of multiple, well-defined lytic lesions(punched out lesions) of various size scattered through out the skull constitutes the raindrop skull appearance of multiple myeloma. This term is applied as an analogy to rain hitting a surface and splashing, where it leaves a random pattern of dark spots.